The percentage of pulmonary emboli, that proceed to infraction, is approximately-
1. 0-5%
2. 5-15%
3. 20-30%
4. 30-40%

Correct answer: 2. 5-15%

Explanation: Ref:Textbook of pathology (Harsh mohan)6th edition, page no.127 Embolism of the pulmonary arteries may produce pulmonary infarction, though not always. This is because lungs receive blood supply from bronchial arteries as well, and thus occlusion of pulmonary artery ordinarily does not produce infarcts. However, it may occur in patients who have inadequate circulation such as in chronic lung diseases and congestive heart failure.The percentage of pulmonary emboli, that proceed to infraction, is approximately 5-15%